Which of the following medication is associated with an Increased risk of agranulocytosis?
1. Clozapine
2. imipramine
3. Lithium
4. Haloperidol

Correct answer: 1. Clozapine

Explanation: The most important side effect of cloxazapine is agranulocytosis. All the other given drugs donot have agranulocytosis as side effect. Ref: KD TRIPATHI 8TH ED.